A 30 year old woman presents with hemoptysis, nose bleed , decreased urine output. nasal mucosal ulcer was seen on inspection - Chest X - ray shows three cavitary Lesions. She is positive for ANCA. Diagnosis is.
1. Good pasture's syndrome
2. Wegener's granulomatosis
3. Berger's nephropathy
4. Alport's disease

Correct answer: 2. Wegener's granulomatosis